In which of the following steps, ATP is released?
1. Phosphoenol pyruvate to pyruvate
2. Glyceraldehyde-3-phosphate to 1,3 bisphosphoglycerate
3. Fructose-6-phosphate to fructose 1,6 bisphosphate
4. Glucose to glucose-6-phosphate

Correct answer: 1. Phosphoenol pyruvate to pyruvate

Explanation: Steps releasing ATP at the level of substrate:

1, 3 Bisphosphoglycerate to 3-Phosphoglycerate (1, 3 Bisphosphoglycerate Kinase)
Phosphoenolpyruvate to Pyruvate (Pyruvate Kinase)
Succinyl CoA to Succinate (Succinate Thiokinase)